Drugs used in unstable angina are all except ?
1. Intravenous heparin
2. Aspirin
3. Intravenous nitroglycerin
4. Lidocaine by bolus infusion

Correct answer: 4. Lidocaine by bolus infusion

Explanation: Ans. is 'd' i.e., Lidocaine by bolus infusion